Injury from lateral side of knee causes damage to -
1. MCL
2. LCL
3. ACL.
4. PCL

Correct answer: 1. MCL

Explanation: Ans. is 'a' i.e.,MCLo Injuries from lateral side of knee causes valgus stress, resulting in injury to medial collateral ligament,o Conversely, injury' from medial side of knee causes varus stress and injury to lateral collateral ligament.